Term Psychiatry was coined by
1. Moral
2. Johann reil
3. Eugen Bleuler
4. Phillipe Pinel

Correct answer: 2. Johann reil

Explanation: Reil, Johann Christian (1759-1820) : Coined the Term Psychiatry Special Mention- Founded the 1st psychiatric journal Ref: A Short Textbook of Psychiatry, Niraj Ahuja, 7th Edition, pg. no.244